True statements about neostigmine are
1. It is a quaternary ammonium compounds
2. It is metabolized by the liver
3. It can cross the blood brain barrier
4. Prominent effect on cardiac muscle

Correct answer: 1. It is a quaternary ammonium compounds

Explanation: (Ref. KDT6/e p101-102; Lee 12/ep217) Neostigmine is a reversible cholinesterase inhibitor.It is a quarternary ammonium compound. (lipid insolube agent), so it does not cross blood-brain-barrie. It is partly hydrolyzed by serum cholinesterase and partly excreted unchanged by the kidneys. It possesses some agonistic action on NM receptors.